Following are the signs of urinary tract obstruction in a CT Scan:
1. Dilated ureter
2. Perinephric fat stranding
3. Thickening of Lateroconal fascia
4. All the above

Correct answer: 4. All the above

Explanation: Ans. (d) All the aboveRef Internet SourcesFeatures of CT Scan abdomen in Obstruction of Urinary system:* Ureter dilatation* Hydroureter* Hydronephrosis* Perinephric stranding* Periureteral Edema* Unilateral Renal Angiogram